Kleptomania is?
1. Irresistible desire to set fire
2. Irresistible desire to steal things
3. Compulsive hair pulling
4. Pathological gambling

Correct answer: 2. Irresistible desire to steal things

Explanation: Ans. is 'b' i.e., Irresistible desire to steal thing * Kleptomania is irresistible impulse to steal.* Compulsive pulling of hair is trichotillomania.* Irresistible desire to set fire is pyromania.